All cause meningitis in the elderly except -
1. HSV2
2. Pneumococci
3. Gram negative bacteria
4. Listeria

Correct answer: 1. HSV2

Explanation: Ans. is 'a' i.e., HSV2 Causes of meningitis in elderly .Pneumococci (most common) . Gram negative bacilli . Staphylococcus aureus . Meningiococci (2nd most common) . Listeria monocytogenes . Streptococcus . H. influenzae . M. tuberculosis